Angular vein communicates with
1. Cavernous sinus
2. Superior sagittal sinus
3. Inferior sagittal sinus
4. Straight Sinus

Correct answer: 1. Cavernous sinus

Explanation: Angular Vein is the upper most segment of the Facial Vein, formed by the union of the Supratrochlear Vein and Supraorbital Vein. It runs obliquely downward by the side of the nose, is linked with the cavernous sinus by the superior and inferior ophthalmic veins which are devoid of valves. fig:-Angular vein communication with cavernous sinus